Most common pigment used in composite restorations are:
1. Oxides of iron
2. Oxides of chromium
3. Oxides of aluminium
4. Oxides of barium

Correct answer: 1. Oxides of iron

Explanation: Inorganic oxides are usually added in small amounts to provide shades that match the majority of tooth shades. The most common pigments are oxides of iron. Numerous shades are supplied, ranging from very light shades to yellow to gray. Various color scales are used to characterize the shades of the composites. A UV absorber may be added to minimize color changes caused by oxidation. Darker and more opaque shades of composites cannot be cured to the same depth as the lighter translucent shades.